False about eukaryotic protein synthesis is:
1. N formyl Met is the first-RNA to come into action
2. mRNA read from 5' to 3'
3. Eft shift between GDP to GTP
4. Capping helps in attachment of mRNA to 40 S ribosome

Correct answer: 1. N formyl Met is the first-RNA to come into action

Explanation: A i.e. N formyl Met is the first - RNA to come into action